All of the following are pyrogenic cytokines, except
1. Interleuken 18 (IL-18)
2. Interleuken 6 (IL-6)
3. Tumor Necrosis Factor (TNF)
4. Interferon a (IFN-a)

Correct answer: 1. Interleuken 18 (IL-18)

Explanation: Refer Robbins 9/e p75-76 inflammation and tissue repair IL-18 is a cytokine that belongs to the IL-1superfamily and is produced by macrophages and other cells. IL-18 works by binding to the interleukin-18 receptor, and together with IL-12, it induces cell-mediated immunity following infection with microbial products like lipopolysaccharide (LPS). After stimulation with IL-18 in presence of IL-12, natural killer (NK) cells and certain T cells release another important cytokine called interferon-g (IFN-g) or type II interferon that plays an important role in activating the macrophages or other cells.